The medicolegal importance of postmortem lividity is all except -
1. Cause of death elsewhere
2. Time since death
3. Manner of death
4. Position of the body at the death

Correct answer: 3. Manner of death

Explanation: Medicolegal importance of postmortem staining are :-


It is a sign of death.
Helps to know time since death.
Helps to know the position or posture of dead body.
Sometimes cause of death can be known by peculiar distribution, e.g. in hanging or drowning.